Highest incidence of anemia in the tropics is due to?
1. Hookworm
2. Thread Worm
3. Ascaris
4. Guinea worm

Correct answer: 1. Hookworm

Explanation: Ans. is 'a' i.e., Hookworm Amongst the given options only hookworm causes anemia.